A 30-year-old patient presents with loose stools, lower abdominal pain, weight loss, diarrhea and passage of blood and mucus. On sigmoidoscopy this is the presentation of the patient, all of the following statements regarding this condition are true except?
1. More than 100 colonic adenomas are diagnostic of this condition
2. Polyps and malignant tumors can develop in the duodenum and small bowel
3. Ibis condition is associated with benign meso- dermal tumors such as desmoid tumors and osteomas
4. This condition is associated with APC gene of chromosome 4

Correct answer: 4. This condition is associated with APC gene of chromosome 4

Explanation: Ans. (d) This condition is associated with APC gene of chromosome 4.Features of familial adenomatous polyposis* Autosomal dominant inherited disease due to mutation of the APC gene on the short arm of chromosome 5.* More than 100 colonic adenomas are diagnostic* Prophylactic surgery is indicated to prevent colorectal cancer* Polyps and malignant tumors can develop in the duodenum and small bowel* FAP can also be associated with benign mesodermal* Tumors such as desmoid tumors and osteomas. Epidermoid cysts can also occur (Gardner's syndrome)Image source- style="font-family: Times New Roman, Times, serif">